Reason for small casting
1. Compensation for shrinkage of alloy is not done.
2. Incomplete burn out of wax pattern.
3. Low casting pressure.
4. All of the above.

Correct answer: 1. Compensation for shrinkage of alloy is not done.

Explanation: Reasons for ROUNDED MARGINS: It occurs due to incomplete burn out of wax pattern.
Reasons for SMALL CASTING: It occurs if compensation for shrinkage of alloy is not done.